Sodium channels are maximum in which part of neuron ?
1. Soma
2. Axon hillock
3. Dendrites
4. Axon

Correct answer: 2. Axon hillock

Explanation: Ans. is'b'i.e., Axon hillockIn a motor neuron, the axon hillock and the initial segment of axon have the lowest threshold for excitation.This is because they have a much higher intensity of voltage gated sodium channel.